Mosquitoes whose eggs are found attached to aquatic plants are
1. Anopheles
2. Culex
3. Aedes
4. Mansonia

Correct answer: 4. Mansonia

Explanation: Mansonia eggs are laid in star-shaped clusters on the undersurface of leaves of these plants. .The larvae and pupae are found attached to the rootlets of these plants by their siphon tubes Ref : Park 23rd edition Pgno : 272